LES pressure is decreased by all except:
1. Alcohol
2. Gastrin
3. Fat
4. Peppermint

Correct answer: 2. Gastrin

Explanation: Lower Esophageal Sphincter (LES) Pressure Decreased by Increased by Prostaglandin E1 and E2, Progesterone Theophylline Barbiturates, Diazepam, Dopamine CCB, Atropine, Nitrates Chocolate, Coffee Alcohol, Pippermint Smoking, Fat Bombesin, Angiotensin II PP, Substance P, Motilin Gastrin Antacids Cholinergics Domeperidone Metoclopramide PMT BD CAN decrease LES pressure; Prostaglandin E1 and E2, Progesterone, Morphine and Meperidine, Theophylline, Barbiturates, Diazepam, Dopamine, CCB, Atropine Nitrates CAPS Fat decrease LES pressure: Chocolate, Coffee, Alcohol, Pippermint, Smoking, Fat. PSM BAG increase LES pressure: PP, Substance P, Motilin, Bombesin, Angiotensin II, Gastrin